The prothrombin time is high in a patient with liver disease. However, the prothrombin time is normalized after the injection of vitamin K. This is a feature in
1. Severe hepatocellular disease
2. Chronic alcoholic liver disease
3. Deficiency of hepatic g-carboxylase
4. Cholestatic liver disease

Correct answer: 4. Cholestatic liver disease